Two live vaccines the minimum duration between injections should be
1. 2 Weeks
2. 4 Weeks
3. 4 Months
4. 6 Months

Correct answer: 2. 4 Weeks

Explanation: Directly from CDC guidelines
 
The timing and spacing of vaccine doses are two of the most important issues in the appropriate use of vaccines.

If the live vaccine is given first, it is necessary to wait at least 2 weeks (i.e., an incubation period) before giving the antibody. If the interval between the vaccine and antibody is less than 2 weeks, the recipient should be tested for immunity or the vaccine dose should be repeated.
If live parenteral (injected) vaccines (MMR, MMRV, varicella, zoster, and yellow fever) and live intranasal influenza vaccine (LAIV) are not administered at the same visit, they should be separated by at least 4 weeks.
An exception to this recommendation is yellow fever vaccine administered less than 4 weeks after single-antigen measles vaccine.